The common development of parathyroid gland and the thymus is from which of the structures?
1. Brachial cyst
2. Brachial cleft
3. Brachial pouch
4. Brachial arch

Correct answer: 3. Brachial pouch

Explanation: The parathyroid glands develop from the endoderm of the third and fourth pharyngeal pouches (Brachial Pouch). The thymus is also derived from the third pharyngeal pouch. The inferior parathyroid glands are derived from the dorsal part of the third pharyngeal pouch, and the thymus arises from the ventral part of the third pharyngeal pouch. The superior parathyroid glands are derived from the fourth pharyngeal pouch and migrate together with the ultimobranchial bodies.